Holt Gram syndrome is characterized by
1. ASD
2. VSD
3. TGA
4. AR

Correct answer: 1. ASD